Apnea of prematurity is defined as sudden stoppage of breathing that lasts for
1. 10 sec
2. 15 sec
3. 20 sec
4. 30 sec

Correct answer: 3. 20 sec

Explanation: Apnea of prematurity defined as sudden stoppage of breathing that lasts for 20 sec or is associated with bradycardia or cyanosisApnea of prematurity should be different from periodic breathing which is normal phenomenon is preterm neonate.(Refer: Nelson's Textbook of Pediatrics, SAE, 1st edition, pg no. 832, 849 - 850)